Lymphocytes and plasma cells
1. Are not normally present in healthy pulp
2. Are associated with injury
3. Attempt to destroy , damage or neutralize foreign substance
4. All of the above

Correct answer: 4. All of the above

Explanation: Lymphocytes and plasma cells: 

These cells are not normally present in healthy pulp tissue but are associated with injury and resultant immune responses attempts to destroy, damage, or neutralize foreign substance.
These inflammatory cell types generally appear following invasion into the area of injury.